The oxygen carrying capacity of an 18-year-old boy with hemoglobin of 14 g/dl is
1. 14
2. 16
3. 18
4. 22

Correct answer: 3. 18

Explanation: Ans. (c) 18(Ref: Ganong, 25th ed/p.640)Oxygen Carrying Capacity of HemoglobinEach gram of hemoglobin transport 1.34 mL of oxygenSo, here in the question, its 14x1.34=18